Cephalic phase of gastric secretion can be demonstrated by the following experiment:
1. Heidenhain's pouch
2. Condition reflex
3. Pavlov's pouch
4. None of the above

Correct answer: 3. Pavlov's pouch

Explanation: A part of stomach is incompletely separated from the main portion and made into a small bag like pouch, which is called as pavlov's pouch.